Snow blindness is caused due to
1. Extreme cold
2. UV  Rays
3. IR Rays
4. Vit A deficiency

Correct answer: 2. UV  Rays

Explanation: Snow blindness is a painful, temporary loss of vision due to overexposure to the sun's UV rays.